Vitriolage is punished under
1. Sec 294 IPC
2. 326 A IPC
3. 354 A IPC
4. 326 B IPC

Correct answer: 2. 326 A IPC

Explanation: Refer the byte "Legal sections".